ICATIBANT IS A ?
1. bradykinin B 1 antagonist
2. bradykinin B 2 antagonist
3. bradykinin B 3 antagonist
4. histamine receptor H3 antagonist

Correct answer: 2. bradykinin B 2 antagonist

Explanation: Icatibant, New Bradykinin-Receptor Antagonist, in HAE Icatibant (Firazyr, Shire) synthetic selective decapeptide bradykinin B2 receptor competitive antagonist contains 5 non-natural amino acids to enhance resistance to peptidases Icatibant administered sc injection as single 30 mg peak concentration within 30 minutes, ref : kd tripathi 8th ed